All are true except?
1. Penetration - Uncoating - Macromolecular synthesis Transcription, Protein synthesis, Replication - Assembly - Release by budding and lysis.
2. DNA viruses: Adenovirus, Human papilloma virus, Parvovirus B-19, BK and LC polyomavirus, Polio virus.
3. Gancyclovir: CMV: act on viral DNA.
4. Viruses causing congenital and neonatal disease: HSV-2, Echovirus, CMV, Parvovirus B19, VZV, HIV, Hepatitis virus.

Correct answer: 2. DNA viruses: Adenovirus, Human papilloma virus, Parvovirus B-19, BK and LC polyomavirus, Polio virus.

Explanation: Ans. B. DNA viruses: Adenovirus, Human papilloma virus, Parvovirus B-19, BK and LC polyomavirus, Polio virus.1. DNA viruses* Parvo viridae (ss DNA) (NE)* Adeno viridae (NE)* Papovaviridae (NE)* Hepadnaviridae (E)* Herpes viridae (E) (1-8)* Pox viridae (E)2. RNA Viruses* Picornaviridae* Rhabdoviridae* Orthomyxoviridae* Paramyxoviridae* Caliciviridae* Astroviridae* Coronaviridae* Togaviridae* Flaviviridae* Bunya viridae* Filo viridae* Arena viridae* Reoviridae DsRNA (+)